A 33 year old suffers from blunt trauma to the eye. Fundoscopy shows cherry red spot, the probable diagnosis is
1. Retinoblastoma
2. Commotio Retinae
3. Optic nerve transection
4. Posterior Vitreous Detachment

Correct answer: 2. Commotio Retinae

Explanation: Answer- B. Commotio RetinaeBerlin's oedema, also called commotio retinae, occurs in blunt trauma to eye. It manifests as milky white cloudiness involving a considerable area of the posterior pole with a'cherry-red'spot in the foveal region.